The following technique is used to analyze DNA obtained from cancer biopsies, in which tumor cells are often contaminated with large numbers of admixed stromal cells
1. Sanger sequencing
2. Single base primer extension
3. Pyrosequencing
4. Amplicon length analysis

Correct answer: 3. Pyrosequencing

Explanation: Ans. (c) Pyrosequencing(Ref: R 9th/pg 140; 8th/pg 140)Pyrosequencing:Highly sensitive than Sanger sequencing and can detect even 5% mutated DNAFor this reason, it is be used to analyze DNA obtained from cancer biopsies, in which tumor cells are often "contaminated" with large numbers of admixed stromal cells.